True statements regarding halothane is:
1. Hepatitis occurs in susceptible individuals after repeated dose
2. It potentiates competitive neuromuscular blockers
3. Causes respiratory depression
4. All of the above

Correct answer: 4. All of the above

Explanation: All the above statements are true. Halothane is neither a good analgesic or muscle relaxant but it potentates competitive neuromuscular blockade. Halothane causes relatively greater depression of respiration:breathing is shallow and rapid. Hepatitis occurs in rare susceptible individuals especially after repeated use and in those with familial predisposition. From KD Tripati 7th edition Page no 379